Allopurinol potentiates action of:
1. Azathioprine
2. Busulfan
3. Actinomycin
4. Procarbazine

Correct answer: 1. Azathioprine

Explanation: Ans. (A) Azathioprine(Ref: KDT 8th/e p922)Allopurinol inhibits degradation of azathioprine and 6-mercaptopurine and thus potentiates their action.